Cornea is lined by -
1. Ciliated columinar
2. Simple columinar
3. Squamous non-keratisized
4. Pseudostrati fied

Correct answer: 3. Squamous non-keratisized

Explanation: Ans. is 'c' i.e., Squamous non-keratisized Histology of corneao The cornea has five distinct layers (from superficial to deep): -Epithelium : - It is the outermost part of cornea and is composed of stratified squamous non-keratinized epithelial cellsQ.Bowman's membrane : - It is not a true membrane but simply a condensed superficial part of stroma. Once destroyed, it does not regenerateQ.Stroma (Substantia propria) : - This layer constitutes most of the cornea (90% of thickness). It consists of collagen fibrils (lamellae) embedded in hydrated matrix of proteoglycans.Descemet's membrane : - This layer bounds the stroma posteriorly. In the periphery it appears to end at the anterior limit of trabecular meshwork as Schwableys ring.Endothelium : - It is a single layer of flat polygnonal cells. The endothelial cells contain 'active-pump' mechanism and is the most important layer in maintaining the transparency of corneaQ.